Bevelling of inner table of skull is found in
1. Fire arm entry wound
2. Fire arm exit wound
3. Drowning
4. Infanticide

Correct answer: 1. Fire arm entry wound

Explanation: A i.e. Firearm entry wound When a bullet traverses the skull, the aperture in the bone differs in relation to the outer & inner tables; the defect is larger in the RTI direction in which the bullet travelsQ